Triple helix is seen in :
1. Collagen
2. DNA
3. Elastin
4. RNA

Correct answer: 1. Collagen

Explanation: A i.e. Collagen